Among the following Cariostatic substances is/are:
1. Molybdenum.
2. Strontium.
3. Lithium.
4. All of the above.

Correct answer: 4. All of the above.

Explanation: Cariostatic substances:
Molybdenum, Strontium, Vanadium, Lithium, Barium, Boron.